A man presents with history of hemetemesis of about 500 ml of blood. On examination, spleen is palpable 5 cms below the left costal margin. The most likely diagnosis is:
1. Portal Hypertension
2. Gastric ulcer
3. Drug induced
4. Mallory Weiss Tear

Correct answer: 1. Portal Hypertension

Explanation: Answer is A (Portal Hypertension) Hemetemesis in a patient with palpable splenomegaly suggests a diagnosis of variceal blood secondary to portal hypertension. Hemetemesis from Gastric ulcer, Mallory Weiss tear and/or drug induced gastritis is not associated with splenomegaly.